A 6-month old infant presented with multiple papules and exudative lesions on the face, scalp, trunk and few vesicles on the palms and soles for 2 weeks. His mother had a history of itchy lesions.The most likely diagnosis is :
1. Scabies
2. Infantile eczema
3. Infantile seborrhoeic dermatitis
4. Impetigo contagiosa

Correct answer: 1. Scabies

Explanation: Ans. is 'a' i.e., Scabies Vesicobullous lesion in an infant can be seen in Scabies Infantile eczema Seborrheic dermatitis The clincher here is involvement of palms and soles. This is a characteristic feature of scabies in infants * Differential diagnosis Scabies Infantile eczema Characteristic distribution: Lesions present on palms, soles and genitalia Spares palms and soles Burrows present. Absent Typical lesions in a family member May have atopic diathesis in family H/O asthma not relevant History of Asthma Infantile Seborrheic dermatitis Infantile eczema Begin in infants <3 months In infants > 3 months Asymptomatic Extremely itchy Scalp, major flexures (axillae, groins) Face, other parts of the body Family or personal history of atopy. Also, know, In scabies in adults, the scalp, face, palms, and soles are characteristically spared, but in infants scalp, face, palms, and soles are typically involved.